Apolipoprotein that acts as enzyme activator:
1. Apo A-II
2. Apo C-II
3. Apo B-100
4. Apo E

Correct answer: 2. Apo C-II